Pin code index of N2O is-
1. 1,6
2. 2,5
3. 2,6
4. 3,5

Correct answer: 4. 3,5

Explanation: Ans. is 'd' i.e., 3, 5 GasPin indexOxygen2,5Nitrous oxide3,5Cyclopropane3,6Air1.5Nitrogen1,4Entonox (50% O2 + 50% N2O)Single central (7)Carbon dioxide (< 7.5%)2,6~Carbon dioxide (> 7.5%)1,6